All the following structures pass through Jugular Foramen except
1. Internal Jugular vein
2. 9th, 10th and 11th cranial nerves
3. Meningeal branch of ascending pharyngeal artery
4. Superior petrosal sinus

Correct answer: 4. Superior petrosal sinus

Explanation: The jugular foramen transmits the following structuresAnterior partMiddle partPosterior parta. Inferior petrosal sinusb. Meningeal branch of ascending pharyngeal artery IXth, Xth and Xlth cranial nervesa. Internal jugular vein.b. Meningeal branch of the occipital arteryReference: Chourasia; 6th edition; 18th page